Oestrogen in pre-menopausal women has following effect on lipid profile
1. Decreased high-density lipoproteins
2. Increased low-density Lipoproteins
3. Increased high-density Lipoproteins
4. Increased total cholesterol

Correct answer: 3. Increased high-density Lipoproteins

Explanation: Oestrogen contributes to greater high-density lipoprotein which provides cardio protective effect.